Verapamil is associated with all of the following except ?
1. Constipation
2. Bradycardia
3. Hyperglycemia
4. Increased PR interval

Correct answer: 3. Hyperglycemia